Most common etiology of abnormal uterine bleeding in childhood age group
1. Vulvovaginitis
2. Anovulation
3. Endometrial polyp
4. endometrial cancer

Correct answer: 1. Vulvovaginitis

Explanation: Vulvovaginitis is commonest etiology of AUB in childhood age group.